Which of the following is an example of a bone that is independent phylogenetically but is now fused with another bone?
1. Trocanter of femur
2. Tubercle of humerus
3. Coracoid process of scapula
4. Anterior tubercle of talus

Correct answer: 3. Coracoid process of scapula

Explanation: Ativastic epiphysis is a phylogenetically independent bone which gets attached to the host bone secondarily to recieve nutrition. Eg are coracoid process of scapula, posterior tubercle of talus or trigonum. Classification of epiphysis : Pressure epiphysis : head of femur and humerus. Traction epiphysis : trochanter of femur and tubercle of humerus. Ativastic epiphysis : coracoid process of scapula, posterior tubercle of talus or trigonum.